A 12-year-old girl has a history of recurrent bulky stools and abdominal pain since 3 years of age. She has moderate pallor and her weight and height are below the 3rd percentile. Which of the following is the most appropriate investigation to make a specific diagnosis?
1. Small intestinal biopsy
2. Barium studies
3. 24-hr- fecal fat estimation
4. Urinary d-xylose test

Correct answer: 1. Small intestinal biopsy